What is maintenance fluid per hour requirement for 60 kg adult:-
1. 100 ml/ hour
2. 80 ml / hour
3. 120 ml/hour
4. 60 ml/hr

Correct answer: 1. 100 ml/ hour

Explanation: Per hour requirement of maintainance fliuid - 4-2-1 For 1st 10 kg = 4ml/kg bw For 2nd 10 kg = 2ml/kg bw For rest body weight = 1 ml / kg bw